Failure rate of contraceptive method is determined by:
1. Half life index
2. Pearl index
3. Total fertility rate
4. Age specific fertility rate

Correct answer: 2. Pearl index

Explanation: - Pearl's Index: Measures the failure rate/ efficiency of a contraception. PI = Total No. of accidental gestations/ Total months of exposure x 1200 It is expressed per Hundred women years .